Most reliable method of identification is:
1. Gustafson method
2. Galton method
3. Anthropometry
4. Scars

Correct answer: 2. Galton method

Explanation: Ans. (B). Galton methodFingerprinting is the most specificQ method of identification.Gabon's system describes about fingerprinting.